Grenz zone is more prominent in
1. Tuberculoid leprosy
2. Borderline lepromatous
3. Mid - Borderline leprosy
4. Lepromatous leprosy

Correct answer: 4. Lepromatous leprosy

Explanation: Grenz zone is seen in histopathological examination.It is the zone of uninvolved part of dermis (zone between foam cells in dermis and epidermis).Grenz zone is most prominent in poor immune condition like Lepromatous leprosy.